Which of the following is NOT an adverse effect of heparin ?
1. Bleeding
2. Thrombocytopenia
3. Hypokalemia
4. Osteoporosis

Correct answer: 3. Hypokalemia